Commonest symptom of carcinoma bronchus is -
1. Hemoptysis
2. Dyspnoea
3. Cough
4. Wheezing

Correct answer: 3. Cough